Best test for oesophageal varices is
1. CT- scan
2. Gastro- oesophagoscopy
3. Tomography
4. Ultrasound

Correct answer: 2. Gastro- oesophagoscopy

Explanation: B. i.e. (Gastro - oesophagoscopy) (1089 - B &L) (897 - S. Das 5th)Endoscopy - upper GI endoscopy represents the most reliable single technique as it shows the oesophageal varix and bleeding point* Dilated longitudinal veins running a Zig- Zag course*** Diffuse esophageal spasm is best diagnosed by Manometry**Management of bleeding oesophageal varices* Blood transfusion* Correct coagulopathy* Oesopageal balloon tamponade (Sengstaken - Blakemore tube)*** Drug therapy (Vasopressin /Octreotide)* Endoscopic sclerotherapy or banding* Assess portal vein potency (Doppler USG or CT)* Transjugular intrahepatic portosystemic stent shunts (TIPSS) (Contraindicated in portal vein occlusion)* Surgery- Portosystemic shunts- Oesophageal transaction- Splenectomy and gastric devascularisation* Commonest cause of acute upper GI haemorrhage - Peptic ulcer**